All are true about bulbar urethral rupture, except:
1. Perineal hematoma
2. Floating prostate on per rectal examination
3. Collection of urine in perineum
4. Bleeding per urethra

Correct answer: 2. Floating prostate on per rectal examination

Explanation: Ans. (b) Floating prostate on per rectal examination* Floating prostate is seen in membranous urethral injury* Perineal hematoma seen in Bulbar urethral injury.* Deep Perineal pouch hematoma is seen in Membranous urethral injury.